The dentin adjacent to the dentinoenamel junction is called the
1. Mantle dentin
2. Circumpulpal dentin
3. Predentin
4. Secondary dentin

Correct answer: 1. Mantle dentin